Most sensitive method for detecting low density microfilaraemia
1. Mass blood survey
2. DEC Provocation test
3. Membrane filter concentration method
4. Xenodiagnosis

Correct answer: 3. Membrane filter concentration method